Narrowest part of respiratory tract in adult is:
1. Trachea
2. Glottis
3. Supraglottis
4. Subglottis

Correct answer: 2. Glottis

Explanation: The narrowest part of larynx In adults - Glottis In children - Subglottis